Anti-inflammatory action of steroids is due to:
1. Inhibition of phospholipase A2
2. Inhibition of cyclooxygenase
3. Increased activity of lipo lipase
4. Inhibition of lipoxygenase

Correct answer: 1. Inhibition of phospholipase A2

Explanation: Glucocorticoids induce the synthesis of lipocortin, an inhibitor of phospholipase A2.